. In the fed state, major fate of Glucose 6-PO4 in tissues is :
1. Storage as Fructose
2. Storage as Glyceraldehyde 3-PO4
3. Enters HMP shunt Ribulose 5-PO4
4. Storage as glycogen

Correct answer: 4. Storage as glycogen

Explanation: D i.e. Storage as glycogen